Frig causing maximum peripheral neuropathy is
1. Zidovudine
2. Lamivudine
3. Stavudine
4. Didanosine

Correct answer: 3. Stavudine

Explanation: Refer WHO recommendations to treat adult and adolescent HIV/76 Stavudine b has maximum incidence of peripheral neuropathy whereas didanosine is associated with maximum risk of acute pancreatitis